Kayser Fleischer ring is found in which layer of cornea ?
1. Bowman's membrane
2. Substantia propria
3. Descemet's membrane
4. Endothelium

Correct answer: 3. Descemet's membrane

Explanation: Ans. Descemet's membrane